Which of the following is true regarding accidental hemorrhage?
1. Painless bleeding PV
2. Uterus is tender
3. Uterine size is less than period of gestation
4. FHS is always absent

Correct answer: 2. Uterus is tender

Explanation: Tender uterus is a clinical features of accidental hemorrhage (also known as abruptio placenta) Abruptio placenta is otherwise called as accidental hemorrhage/Premature seperation of placenta. It can be of concealed/revealed/mixed type: Revealed Mixed Symptoms Abdominal discomfort or pain followed by bleeding Abdominal acute intense pain followed by slight bleeding General condition Proportionate to visible blood loss Shock may be pronounced which may be out of proportion to visible bleeding Uterine height Proportionate to period of gestation May be disproportionately enlarged FHS Usually present Usually absent Revealed type is the common type Concealed type has maximum fetal distress Page's and Sher's classification is used for abruptio placenta. Ref: DC Dutta's Textbook of Obstetrics 8th edition Pgno: 294